Which of the following is not associated with Down's syndrome?
1. Trisomy 2l
2. Mosaic 21
3. Translocation (14;21)(q10;q10),+21
4. Deletion of 2l

Correct answer: 4. Deletion of 2l

Explanation: TRISOMY 21: DOWN SYNDROME Incidence: 1 in 700 births Karyotypes: Trisomy 21 type: 47,XX, +21 Translocation type: 46,XX,der(14;21)(q10;q10),+21 Mosaic type: 46,XX/47,XX, +21 (Robbins Basic Pathology, 9 th edition. page : 238)..